All of the following factors influence the flexibility of
the clasp EXCEPT
1. Diameter of the clasp are
2. Length of the clasp
3. Material of the clasp
4. Tooth on which the clasp rests

Correct answer: 4. Tooth on which the clasp rests